Functional Residual volume can be measured by all except
1. Helium dilution method
2. Spirometer
3. N2 washout method
4. Body plethysmography

Correct answer: 2. Spirometer

Explanation: All volume & capacities are measured by spirometer, except RV, CV, FRC & TLC which are measured by
a) N2 Washout method
b) Helium dilution method
c) Body Plethysmoglaphy (Best method)